Repressed information can be brought into conscious mind by all except
1. Dream
2. Focused attention
3. Hypnosis
4. Somatic stimulation

Correct answer: 2. Focused attention

Explanation: Unconscious or Repressed memories are excedingly difficult to retrieve (they are inaccessible) but remain available (in storage). A dream is a fulfilment of a repressed wish/ memory. Goal of psychoanalysis is to attempt to provide the client with insight, self knowledge and self understanding. more sepcifically the basic goal of psychoanalysis is to make the unconscious conscious, to undo unsatisfactory defences and through therapeutic regression to re experience repressed feelings and wishes. ref: Gross Psychology: The sceince of mind and behaviour, 7e.